Phage encoded exotoxin fort vibrio cholerae resembles which toxin of E. coli ?
1. Heat labile toxin
2. Heat stable toxin
3. Shiga like toxin
4. Verocytotoxin

Correct answer: 1. Heat labile toxin

Explanation: Ans. is 'a' i.e., Heat labile toxin Heat labile toxin of E. coli and cholera toxin resemble each other in their structure, antigenic properties and mode of action. Both act by activating adenyl cyclase in the enterocyte to form cyclic adenosine 5' monophosphate (c AMP). Heat stable toxin of E. coli acts by activation of cyclic guanosine monophosphate (c GMP) in the intestine.